Immune mediated destruction of tissue bearing high concentration of m. leprae bacilli occurs, usually several months after initiation of effective therapy. This result in cutaneous ulcers in patients with lepromatous leprosy related to?
1. Raynaud's phenomenon
2. Placebo phenomenon
3. Lucio's phenomenon
4. Cutaneous anthrax

Correct answer: 3. Lucio's phenomenon

Explanation: Ans. C. Lucio's phenomenona. Mycobacterium leprae may be associated with cutaneous ulcerations in patients with lepromatous leprosy related to Lucio's phenomenon, in which immune-mediated destruction of tissue bearing high concentrations of M. leprae bacilli occurs, usually several months after initiation of effective therapy.b. Mycobacterium tuberculosis may also cause ulcerations, papules, or erythematous macular lesions of the skin in both normal and immunocompromised patients.c. Decubitus ulcers are due to tissue hypoxemia secondary to pressure-induced vascular insufficiency and may become secondarily infected with components of the skin and gastrointestinal flora, including anaerobes.d. Ulcerative lesions on the anterior shins may be due to pyoderma gangrenosum, which must be distinguished from similar lesions of infectious etiology by histologic evaluation of biopsy sites.e. Ulcerated lesions on the genitals may be either painful (chancroid) or painless (primary syphilis).